Maximum number of unusual base pairs are seen in
1. rRNA
2. tRNA
3. mRNA
4. snRNA

Correct answer: 2. tRNA

Explanation: The transfer RNA show extensive internal base pairing and acquire clover leaf like structures. They contain a significant proportion of unusual bases. These include dihydrouracil (DHU) pseudouridine (Ps) and hypoxanthine. Moreover, many bases are methylated. REFERENCE : DM.VASUDEVAN.TEXTBOOK SEVENTH EDITION ; PAGE NO : 596.